Crohn's disease is associated with polymorphism in:
1. NOD2/CARD 15 gene
2. Philadelphia chromosome
3. P53 gene
4. APC/Beta catenin

Correct answer: 1. NOD2/CARD 15 gene

Explanation: Ans. (a) NOD 2/CARD 15 geneRef: Sabiston 20th edition, Page 1260* IBD-1 (CARD-15/NOD 2 gene) mutation at chromosome 16 q is linked with CD.* IBD-2 - Chr.12q-linked with UC